Which of the following is not used in polycystic ovarian syndrome (PCOS)?
1. OC pills
2. Cyclical progesterones
3. Letrozole
4. Danazol

Correct answer: 4. Danazol

Explanation: Management of PCOS Irregular periods/Amenorrhea Rx Combined OC pills Progesterone only pills ( For 10 days - from 14th day/ mid cycle) Hirsutism Rx Anti Androgens OC pills containing progesterones with anti androgenic action Cosmetic Rx for hair : prevents depression. Infertility Rx Ovulation induction ( clomiphene, letrozole) Weight reduction Insulin sensitizers Metformin Inj Recombinant FSH Inj Gonadotropin